Orbital metastasis is common in :
1. Melanoma
2. Neuroblastoma
3. Hypernephroma
4. Hepatoma

Correct answer: 2. Neuroblastoma

Explanation: Ans. is 'b' Neuroblastoma Neuroblastoma have a predilection for metastasis to skull especially orbits.This causes -Proptosis &Periorbital ecchymosisAbout rest of the optionsMelanoma - Metastasis commonly occurs in lymph nodes.Hypernephroma - Metastasis commonly goes to lung*Hepatoma - Metastasis commonly goes to lung*Some important questions on neuroblastomaMost common abdominal tumor in children *Most common presentation * is abdominal mass (65%)Most common site of metastasis* - skull boneMost common age of presentation * - children <2yrsSpontaneous regression is seen *